All of the following glucocorticoids lack mineralocorticoid activity, except:
1. Beclomethasone
2. Triamcinolone
3. Prednisolone
4. Dexamethasone

Correct answer: 3. Prednisolone